Caldwell luc's operation is done for:
1. Frontal sinusitis
2. Maxillay sinusitis
3. Ethmoid sinusitis
4. Sphenoid sinusitis

Correct answer: 2. Maxillay sinusitis

Explanation: Ans. (b) Maxillay sinusitisRef: Dhingra's ENT 6th ed/ 411-12Most common sinus involved in sinusitis: Maxillary sinus (aka Antrum of Highmoore)Treatment of Acute cases is by antibiotics and symptomatic.Chronic cases and recurrent cases are treated by surgery. Usually performed surgeries are:* Antral wash* Caldwell-Luc operation* FESS (Functional Endoscopic Sinus Surgery)- Most preferred currently. Best surgical optionCaldwell Luc operation Indications:Technique:* In case of chronic maxillary sinusitis* Dental cyst or Oro-antral fistula* Fracture of maxilla or blow out fracture of orbit* Antrochoanal polyp* Horizontal Incision below gingivolabial sulcus* Elevation of flap a Opening of Antrum a Removal of deseased antral mucosa/polyp* Making of naso-antral window* Packing the antrum a Closure of wound